Which is the most effective topically applied bleaching agent?
1. Tretinoin
2. Hydroquinone
3. Salicylic acid
4. Toc

Correct answer: 2. Hydroquinone

Explanation: Hydroquinone is most effective topically applied bleaching agent. It bleach freckles and lentigens but not cafe-au-lait spots or pigmented nevi.